Tongue muscle derived from:
1. Occipital myotomes
2. Somites
3. Endoderm of pharyngeal pouch
4. Mesoderm of pharyngeal pouch

Correct answer: 1. Occipital myotomes

Explanation: Ans. a. Occipital myotomesThe paraxial mesoderm organizes into segments known as somitomeres, which form in a craniocaudal sequence.Somites differentiate into the:Sclerotome: Cartilage and bone componentMyotome: Muscle componentDermatome: Dermis of skin componentTongue muscles are derived from occipital myotomes. The tongue muscles are innervated by CN XII.Extraocular muscles are derived from somitomeres 1-3 and 5. Somitomeres 1-3 are called preotic myotomes. The extraocular muscles are innervated by cranial nerve (CN) III, CN IV, and CN VI.Head and neck musculature is derived from somitomeres 1-7 of the head and neck region, which participate in the formation of the pharyngeal arches.